Which of the following is not a risk factor for rhegmatogenous retinal detachment?
1. Trauma
2. Aphakia
3. Lattices
4. Hypermetropia

Correct answer: 4. Hypermetropia

Explanation: Hypermetropia is not a risk factor for Rhegmatous retinal detachment. Risk factors for RRD * Lattices * Retinal tears * High myopia * Trauma * Intraocular surgery * Aphakia *Drugs such as pilocarpine